A patients CT scan reveals diverticulitis confined to the sigmoid colon. There is no associated pericolic abscess. What is best course of treatment?
1. Bowel rest, nasogastric suction, IV fluids, and broad-spectrum antibiotics
2. Urgent surgical resection
3. Steroids
4. Diverting colostomy

Correct answer: 1. Bowel rest, nasogastric suction, IV fluids, and broad-spectrum antibiotics

Explanation: Uncomplicated diverticulitis is treated with broad spectrum antibiotics and bowel rest. Surgery is not indicated - either resection or diversion of the fecal stream by colotomy or ilestomy. Anti-inflammatory agents are not indicated in the therapy of diverticulitis. The risk of a second episode is less than 30%. After a second episode, the risk is greater than 50% and resection may be advised at this stage.